Iris bombe is seen in which disease?
1. Uveitis
2. Conjunctivitis
3. Episcleritis
4. Trachoma

Correct answer: 1. Uveitis

Explanation: ANSWER: (A) UveitisREF: Khurana 4th Ed Page 144IRIS SIGNS OF ANTERIOR UVEITIS:Loss of normal pattern, it occurs due to oedema and waterlogging of iris in active phase and due to atrophic changes in chronic phase. Iris atrophy is typically observed in Fuchs' heterochromic iridocyclitis.Changes in iris colour. Iris usually becomes muddy in colour during active phase and may show hyperpigmented and depigmented areas in healed stage.Iris nodules. These occur typically in granulomatous uveitis.Koeppe's nodules are situated at the pupillary border and may initiate posterior synechia.Busacca s nodules situated near the collarette are large but less common than the Koeppe's nodules.Neovascularistaion of irisPosterior synechiae. These are adhesions between the posterior surface of iris and anterior capsule of crystalline lens (or any other structure which may be artificial lens, after cataract, posterior capsule (left after extracapsular cataract extraction) or anterior hyaloid face. These are formed due to organisation of the fibrin-rich exudates. Morphologically, posterior synechiae may be segmental, annular or total.Segmental posterior synechiae refers to adhesions of iris to the lens at some points.Annular posterior synechiae (ring synechiae are 360deg adhesions of pupillary margin to anterior capsule of lens. These prevent the circulation of aqueous humour from posterior chamber to anterior chamber (seclusio pupillae). Thus, the aqueous collects behind the iris and pushes it anteriorly (leading to 'iris-bombe' formation). This is usually followed by a rise in intraocular pressure.Total posterior synechiae due to plastering of total posterior surface of iris with the anterior capsule of lens are rarely formed in acute plastic type of uveitis. These result in deepening of anterior chamber